After periodontal surgery, the method of brushing recommended is
1. Charters method
2. Bass method
3. Modified stillmans method
4. Scrub method

Correct answer: 1. Charters method